Which of the following is not true about Milan's criteria?
1. Single tumor<5 cm in size
2. 3 nodules & <3 cm in size
3. <5 nodules
4. No extrahepatic disease

Correct answer: 3. <5 nodules

Explanation: Milan's criteria for Liver transplantation in HCC Single tumor <5cm in size Multiple tumors (NO. 2-3) & size <3cm No Extrahepatic/ Vascular spread After Liver transplant,patient has 5-year survival in 70%